A true diabetic cataract is also known as:
1. Sunflower cataract
2. Rosette-shaped cataract
3. Snow-storm cataract
4. Coronary cataract

Correct answer: 3. Snow-storm cataract

Explanation: Ans. Snow-storm cataract